Which of the following is not compatible with a diagnosis of juvenile myelomonocytic leukemia?
1. Peripheral blood monocytosis, more than 1 x 107L
2. Increased Hemoglobin F levels for age
3. Presence of bcr/abl fusion gene
4. GM - CSF hypersensitivity of myeloid progenitors in vitro

Correct answer: 3. Presence of bcr/abl fusion gene

Explanation: . Presence of bcr/abl fusion gene